Foramen of Morgagni refers to an opening in?
1. The brain
2. The lesser omentum
3. The skull
4. The diaphragm

Correct answer: 4. The diaphragm

Explanation: The sinus of Morgagni or ventricle of the larynx is a narrow fusiform cleft between the vestibular and vocal folds. the anterior part of the sinus is prolonged upwards as diverticulum between the vestibular fold and the lamina of the thyroid cartilage .this extension is known as the saccule of the larynx. The saccule contains mucous glands which help to lubricate the vocal folds.it is often called oil can of larynx. Ref BDC volume 3; 6th edition pg 256